Mutation in p53 gene is associated with which malignancy?
1. Endometrial carcinoma type 1
2. Retinoblastoma
3. Colorectal carcinoma
4. Prostate cancer

Correct answer: 3. Colorectal carcinoma

Explanation: Ans. is 'c' i.e., Colorectal carcinoma -p53: Guardian of genome o p53 is a tumor suppressor gene. p53 gene is located on chromosome 17. p53 acts as molecular policeman o p-53 is the most common target for genetic alteration in human tumors; A little over 50% of human tumors contain mutation in this gene. o Non-mutated (wild type) p53 reduces the chances of cancer o Mutated form is associated with cancer. o P53 mutations associated with breast, colorectal, liver\ lung, and ovarian cancer. Page no 1017 Robbins 9th edition -Mutation in p53 gene is associated with with Endometrial carcinoma type 2